Punch drunk syndrome is seen in -
1. Boxers
2. Drug abuse
3. Alcoholic
4. Head injury

Correct answer: 1. Boxers

Explanation: The synopsis of forensic medicine & toxicology;Dr k.s narayan reddy; 28th edition; pg.no. 151. Punch drunk sign also called boxer's hemorrhage ,head is frequently injured in boxers ,fracture of skull is rare but subdural hemorrhage occurs and may be fatal ,some show pontine hemorrhage .Bleeding into midbrain is seen .Retinal detachment may occur .Deterioration of speed &coordination are chief symptom of punch drunk(traumatic encephalopathy or dementia puglistica)condition .